Hyoid lies at the level of ?
1. C3
2. C,
3. C7
4. T2

Correct answer: 1. C3

Explanation: Ans. is 'a' i.e., C3Surface anatomy of larynx are :C, Level of body of hyoid and its greater cornu.C3 -C, Junction Level of upper border of thyroid cartilage and bifurcation of common carotid artery. C4- C, Junction Level of thyroid cartilage.C6 Level of cricoid cartilage.